A patient was on DVT prophylaxis. All of the following has perforators which connect superficial veins to the deep veins, except:
1. Ankle
2. Below the inguinal ligament
3. Mid calf
4. Lower thigh

Correct answer: 2. Below the inguinal ligament

Explanation: Below inguinal ligament Blood flows from the superficial to the deep veins through perforating (communicating veins)Perforators are located- below the medial malleolus (inframalleolar perforator)- in the medial calf (Cockett perforators)- just above (Dodd perforator) & below the knee (Boyd perforator)- at the level of the adductor canal (Hunterian perforator)